True  about use of anticonvulsants and OCPs in epileptic patient is all except
1. OCPs may reduce efficacy of anticonvulsants
2. Those on Lamotrigine monotherapy, combined OCPs are not recommended
3. Their metabolic interactions usually increase seizure activity
4. OCPs containing atleast 30ug ethinyl estradiol should be used

Correct answer: 3. Their metabolic interactions usually increase seizure activity

Explanation: Metabolic interactions between anticonvulsants and combined hormonal contraceptives usually do not result in increased seizure activity except for Lamotrigine.